Deficiency of which element can lead to the syndrome of growth failure, anemia, and hypogonadism?
1. Calcium
2. Copper
3. Zinc
4. Magesium

Correct answer: 3. Zinc

Explanation: Zinc deficiency is characterized by growth retardation, loss of appetite, and impaired immune function. In more severe cases, zinc deficiency causes hair loss, diarrhea, delayed sexual maturation, impotence, hypogonadism in males, and eye and skin lesions. Reference: GHAI Essential pediatrics, 8th edition